USG wave travel in the human body at the rate of –
1. 1500 m/s
2. 2500 m/s
3. 3500 m/s
4. None

Correct answer: 1. 1500 m/s

Explanation: Speed of sound wave in body is 1540 m/s.